Which of the following Enterovirus species causes Acute Hemorrhagic Viral Conjunctivitis.
1. Enterovirus 68
2. Enterovirus 69
3. Enterovirus 70
4. Enterovirus 71

Correct answer: 3. Enterovirus 70

Explanation: Acute hemorrhagic conjunctivitis is primarily caused by enterovirus 70. Acute hemorrhagic conjunctivitis (AHC) is an epidemic form of highly contagious conjnctivitis, characterized conjunctival hemorrhages. The first AHC outbreak was described in 1969 in Ghana, West Africa, and was called Apollo disease, from the Apollo landing on the moon. This outbreak was caused by Enterovirus 70 (EV-70) together with a Coxsackie virus A24 (CVA24v) variant, which are the major etiological agents involved in AHC outbreaks worldwide. Acute Hemorrhagic Viral Conjunctivitis: Primary Agents (Three main confirmed viruses) Other Agents have also been implicated Enterovirus-70 (genera of picornoviruses) (Acute hemorrhagic conjunctivitis or Apollo conjunctivitis) Coxsackie virus A-24 (family of picornoviridae) Adenovirus 11 Other Enterovirus (ECHO Virus 7 and 11) Other Coxsackie virus B1 and B2 Ref: Ananthanarayan and Paniker 10th edition Pgno: 498